Which of the following disease is associated with reactivation
1. Pleurodynia
2. Shingles
3. Infectious mononucleosis
4. Viral arthritis

Correct answer: 2. Shingles

Explanation: Zoster or shingles occurs due to reactivation of latent VZV present in the trigeminal ganglia that occurs mainly in adult life. Rashes are unilateral and segmental, confined to the area of skin supplied by affected nerves Ref: essentials of Medical microbiology apurba sastry 1st edition page 438